Open angle glaucoma causes –
1. Sudden loss of vision
2. Difficulty in dark adaptation
3. Amaurosis fugax
4. Uniocular diplopia

Correct answer: 2. Difficulty in dark adaptation

Explanation: Some patients experience difficulty in dark adaptation.